Antihormonal substance used to induce ovulation
1. Mifepristone
2. Clomiphene citrate
3. Tamoxifen
4. Raloxifen

Correct answer: 2. Clomiphene citrate

Explanation: Shaw's textbook of Gynaecology- 16th edn- pg no- 257. Clomiphene citrate is used for ovulation induction. Dose- 50mg/day startingfrom day 2 to day 6 of the cycle for 5 days.